True statement regarding Brain Tumor in children is:
1. is the most common tumor in children
2. Hydrocephalus is rare
3. Mostly is infra-tentorial
4. Papilledema is rare

Correct answer: 3. Mostly is infra-tentorial

Explanation: Infratentorial AVMs are rare entities that, in contrast to their supratentorial equivalents, present more commonly with hemorrhage (1.99 odds ratio, 1.07-3.69 95% CI). The size of the AVM is a controversial risk factor for the first bleeding episode, since different analyses have yielded contradictory results.
Patients with small infratentorial AVMs may present more frequently with hemorrhage than those with large AVMs, given that small malformations otherwise remain asymptomatic. Each episode of hemorrhage is accompanied by a 30% morbidity and a 10% mortality. Morbidity due to bleeding of posterior fossa AVMs is high given their critical location.
Patients with posterior fossa AVMs have a high mortality associated with the first hemorrhagic episode (66.7%).
In some studies, however, authors have found only a 27% mortality from the initial bleeding episode.36 Subsequent hemorrhagic episodes often result in devastating neurologic deficits and have a mortality of 35.7%. 8,13 Risk factors for hemorrhage identified for all brain AVMs—but not necessarily for infratentorial AVMs—include young age, large size of the malformation, deep venous drainage, associated aneurysms, and infratentorial location.